Not a mechanism of Action of Insulin
1. Tyrosine kinase-beta cell stimulation
2. Incroporation of GLUT-4 into cells
3. Inhibition of Na+K+ATPase
4. Hexokinase stimulation

Correct answer: 3. Inhibition of Na+K+ATPase

Explanation: INSULIN is a protein hormone formed from proinsulin in the beta cells of the pancreatic islets of Langerhans. The major fuel-regulating hormone, it is secreted into the blood in response to a rise in concentration of blood glucose or amino acids. Insulin promotes the storage of glucose and the uptake of amino acids, increases protein and lipid synthesis, and inhibits lipolysis and gluconeogenesis.Tyrosine kinase is any of a group of enzymes that influence signaling between cells, esp. as relates to cell growth and death, cellular adhesion and movement, and cellular differentiation. Abnormalities in tyrosine kinases are found in some human diseases, including chronic myeloid (myelogenous) leukemia.Glucose transporter type 4, also known as GLUT4, is a protein that in humans is encoded by the GLUT4 gene. GLUT4 is the insulin-regulated glucose transporter found in adipose tissues and striated muscle (skeletal and cardiac) that is responsible for insulin-regulated glucose transport into the cell. This protein is expressed primarily in muscle and fat cells, the major tissues in the body that respond to insulin.Na+, K+-ATPase is an enzyme that spans the plasma membrane and hydrolyzes ATP to provide the energy necessary to drive the cellular sodium pump.Hexokinase an enzyme that catalyzes the transfer of a high-energy phosphate group of a donor to d-glucose, producing d-glucose-6-phosphate.Ref: Ganong's review of medical physiology;24th edition; page no-436